Coupling ratio of sodium potassium pump is:
1. 3:02
2. 2:03
3. 1:03
4. 3:01

Correct answer: 1. 3:02

Explanation: Sodium potassium pump transports sodium out for 2 potassium molecules in Hence coupling ratio is 3:2